In a slow sand filter, the element responsible for yielding bacteria-free water is the -
1. Valve
2. Vital layer
3. Supernatant water
4. Under-drainage system

Correct answer: 2. Vital layer

Explanation: Ans. is 'b' i.e., Vital layer